Canal through which the 8th cranial nerve passes is-
1. Internal acoustic meatus
2. Foramen rotundum
3. Foramen LAcerum
4. Jugular foramen

Correct answer: 1. Internal acoustic meatus

Explanation: Ans. is 'a' i.e., Internal acoustic meatus * Structures passing through Internal auditory (acoustic) meatus# Facial nerve,# nervus intermedius of wrisberg# vestibulocochlear (8th) nerve# labrynthine vessels